Altruism is an example for
1. Narcissistic defense mechanism
2. Neurotic defense mechanism
3. Immature defense mechanism
4. Mature defense mechanism

Correct answer: 4. Mature defense mechanism

Explanation: Altruism is a mature defense mechanism where an individual satisfies his internal needs by satisfying others.
Ex: A person who lost his son during accidents, started educating & campaigning people about road safety measures.